Which of these is not responsible for removal of free radicals?
1. Catalase
2. Superoxide Dismutase
3. NADPH oxidase
4. Glutathione peroxidase

Correct answer: 3. NADPH oxidase

Explanation: Ans. (c) NADPH oxidase(Ref: R 9th/pg 48; 8th/pg 13,14)AntioxidantsEnzymesNon enzymes* Catalase- Present in peroxisomes Q decomposes H2 O2 Antioxidants- vitamins E, A and C glutathione in the cytosol.*. Superoxidase dismutases: O2- to H2 O2 *. Manganese-SOD, which is localized in mitochondria,*. Copper-zinc-SOD, which is found in the cytosol.Transferrin, ferritin, lactoferrin, and ceruloplasmin Q - Minimise the reactivity of metals by binding with themGlutathione peroxidase: H2 O2 +2GSH-GSSG+2H2 O*. Important indicator of the cell's ability to detoxify ROSQNADPH oxidaseOxidizes NADPH Q (reduced nicotinamide-adenine dinucleotide phosphate) and, in the process, reduces oxygen to superoxide. Q